Lancefield classification of beta hemolytic streptococci is based on ?
1. Protein percent
2. Cell wall carbohydrate antigen
3. Cell membrane M protein
4. Hemolytic properties

Correct answer: 2. Cell wall carbohydrate antigen

Explanation: Ans. is 'b' i.e., Cell wall carbohydrate antigen